Shortest acting non depolarising muscle relaxant:
1. Vecuronium
2. Atracurium
3. Succinylcholine
4. Mivacurium

Correct answer: 4. Mivacurium

Explanation: Ans. is 'd' i.e. Mivacurium Shortest acting non depolarizing muscle relaxant is - Mivacurium*Longest acting non depolarizing muscle relaxant is - Pipecuronium*Most potent N.D muscle relaxant - Doxacurium*Least potent N.D muscle relaxant - Gallamine*Shortest acting depolarizing M.R. - Succinylcholine*Overall shortest acting M.R. - Succinylcholine*